The Electron Microscopy is virtually diagnostic in renal biopsy study of -
1. Goodpasture syndrome
2. Churg-Strauss syndrome
3. Alport syndrome
4. Wegener's granulomatosis

Correct answer: 3. Alport syndrome

Explanation: For Alport syndrome, Rubins mentions ‘The most diagnostic morphologic lesion is seen only by electron microscopy as an irregularly thickened GBM, with splitting of the lamina densa into interlacing lamellae that surround electron-lucent areas’